In a case of recurrent anterior dislocation of shoulder, posterolateral lesions were found on radiological examination. What are these lesions?
1. Bankart's lesion
2. Hill-Sachs lesion
3. Putti Blanks lesion
4. Reverse Hill Sachs lesion

Correct answer: 2. Hill-Sachs lesion

Explanation: Ref: Apley's System of Orthopaedics and Fractures 9th edition.Explanation:HILL-SACHS LESIONOccurs in anterior dislocation of shoulder.Cortical depression fracture in the posterolateral aspect of the head of the ho mi nis.Caused by forceful impaction of the posterior part of the humeral head against the anteroinferior glenoid rim.REVERSE HIEL-SACHS LESIONIt occurs in posterior shoulder dislocation.Defect in anteromedial part of humeral head.Due to impingement of ihe anterior portion of the humeral head against the posterior glenoid rim.BANK ART LESIONComplication ol anterior shoulder dislocation.Detachment of the anterior inferior lahrum from underlying glenoid - Soft-tissue Bankart lesion.Detachment of the anterior inferior lahrum along with a piece of glenoid - Bony Bankart lesion.Causes recurrence of anterior dislocationREVERSE B ANK ART LESIONComplication of posterior shoulder dislocation.Detachment of posteroinferior lahrum from the glenoid.Causes recurrence of posterior dislocation.